Which one of the following is a regulatory protein of the muscle?
1. Troponin
2. Myosin
3. Actin
4. Protein-C

Correct answer: 1. Troponin